Which dietary deficiency of a vitamin can cause Rickets.
1. Vitamin C
2. Niacin
3. Vitamin D
4. Biotin

Correct answer: 3. Vitamin D

Explanation: Vitamin D (as 1,25-dihydroxycholecalciferol) is involved in calcium metabolism.A dietary deficiency of vitamin D causes rickets. Scurvy is caused by lack of vitamin C. Pellagra is caused by a dietary deficiency of niacin, and beriberi is caused by a lack of thiamine (vitamin B.,).